Which of the following viral infections is transmitted by tick?
1. Japanese encephalitis
2. Dengue fever
3. Kyasanur forest disease (KFD)
4. Yellow fever

Correct answer: 3. Kyasanur forest disease (KFD)

Explanation: Vector Diseases transmitted Soft tick Relapsing fever, Q fever, KFD (outside India) Hard tick Tularemia, Babesiosis, KFD (India), Tick paralysis, Tick encephalitis, Indian tick typhus, Tick hemorrhagic fever, Rocky Mountain spotted fever. Lice Epidemic typhus Trench fever relapsing fever Park's Textbook of Preventive and Social Medicine, 25th edition, Page No. 841